Which of the following is not a proinflaminatory cytokine -
1. IL 8
2. IL 11
3. IL 10
4. TNF alpha

Correct answer: 3. IL 10

Explanation: Ans. is 'c' i.e. IL 10 CytokinesProinflammatoryAnti-inflammatoryo Major :- IL-1,TNF-alpha, IL-6o Other :- IL-2, IL-4,IL-5, IL-6, IL-8, IL-11,IL-12, IL-15, IL-21,IL-23, IFN- gamma, GM-CSFo IL-4, IL-10, IL-13o Here, you can consider IL-4 as pro-inflammatory cytokine ( as more than one options can be correct in PGI- chandigarh).